Which type of osteogenesis imperfecta is also known as imperfecta with blue sclera?
1. Type 1
2. Type 2
3. Type 3
4. Type 4

Correct answer: 1. Type 1

Explanation: Clinical types of osteogenesis imperfecta:

Osteogenesis imperfecta, type I  

Osteogenesis imperfecta tarda 
Osteogenesis imperfecta with blue sclerae 


Osteogenesis imperfecta congenital; type II

Osteogenesis imperfecta congenital, neonatal lethal
Vrolik type of osteogenesis imperfecta


Osteogenesis imperfecta, progressively deforming, with normal sclerae: type III  

Gene map locus 17q21.31-q22,7q22.1


Osteogenesis imperfecta, type IV  

Osteogenesis imperfecta with normal sclerae  



Ref: Shafer's textbook of oral pathology 7th edition page 699